Which one of the following statements about non insulin dependent diabetes mellitus (NIDDM) is NOT true -
1. Circulating islet cell antibodies are usually found
2. There is no HLA associaton
3. Ketosis is rare
4. Relative resistance to insulin is present

Correct answer: 1. Circulating islet cell antibodies are usually found